Gamma-aminobutyrate is synthesized from?
1. Fumarate
2. Glutamate
3. Histidine
4. Glycine

Correct answer: 2. Glutamate

Explanation: Gamma-aminobutyric acid (GABA) is formed by decarboxylation of L-glutamate.